A patient with h/o right ear discharge undergoes mastoidectomy but now he presents with vertigo and deafness. Diagnosis is:
1. Labyrinthitis
2. Thrombophlebitis
3. Temporal lobe abscess
4. Mastoiditis

Correct answer: 1. Labyrinthitis

Explanation: (a) Labyrinthitis(Ref. Cummings, 6th ed., 2169)Following mastoidectomy deafness along with vertigo is suggestive of labyrinthitis.